All are true about an increased risk for malignancy in a polyp except
1. Pedunculated polyp
2. > 2 cm
3. Villous polyp
4. Cellular atypia

Correct answer: 1. Pedunculated polyp

Explanation: The incidence of invasive carcinoma being found in a polyp is dependent on the size and histologic type of the polyp. Tubular adenomas are most often pedunculated; villous adenomas are more commonly sessile. The degree of cellular atypia is variable across the span of polyps, but there is generally less atypia in tubular adenomas, and severe atypia or dysplasia (precancerous cellular change) is found more often in villous adenomas.As noted, there is less than a 5% incidence of carcinoma in an adenomatous polyp smaller than 1 cm in diameter, whereas there is a 50% chance that a villous adenoma larger than 2 cm in diameter will contain a cancerRef: Sabiston, 20e, page: 1389